Marfan's syndrome is due to defect of?
1. Elastin
2. Collagen
3. Fibrillin
4. Lamillin

Correct answer: 3. Fibrillin

Explanation: Ans. (c) FibrillinRef.: Management of Genetic Syndromes by Suzanne B. Cassidy, Judith E. Allanson Page 513